The investigation of choice for vestibular schwannoma is
1. Contrast enhanced CT scan
2. Gadolinium enhanced MRI
3. SPECT
4. PET scan

Correct answer: 2. Gadolinium enhanced MRI

Explanation: MRI with gadolinium contrast. It is superior to CT scan and is the gold standard for diagnosis of acoustic neuroma.Intracanalicular tumour, of even a few millimetres, can be easily diagnosed by this method.Dhingra 6e pg: 113